Ni-Ti instruments are flexible because of their
1. Plasticity
2. Rigidity
3. Superelastcity
4. Hardness

Correct answer: 3. Superelastcity